Most common pattern of fingerprint is:
1. Arches
2. Loops
3. Whorls
4. Composite

Correct answer: 2. Loops

Explanation: Ans. Loops